A man presents with multiple painless swelling all over the body and coffee brown patches in trunk. The condition is
1. Multiple Lipoma
2. Multiple neurofibroma
3. Melanoma
4. Sebaceous Cyst

Correct answer: 2. Multiple neurofibroma

Explanation: Ans. (b) Multiple NeurofibromaRef: Bailey and Love 26th edition Page 581* Neurofibromatosis is a condition arising from Schwann cells.* 2 types are seen* 70% are Autosomal Dominant, 30% are sporadic.* NF 1 (Von Recklinghausen) is the MC type.* It is due to Gene mutation of Chromosome 17* Skin manifestation develop in early life# Multiple nodules# Lisch Nodules# Cafe au lait spots - More than 5 in numbers# Armpit of Groin Freckles